Which of the following statements about Kaposi sarcoma is not true?
1. The most common site is scalp
2. Lesions are dark blue or purple mostly
3. They are usually multifocal
4. Lymph nodes may be involved

Correct answer: 1. The most common site is scalp

Explanation: Ans. A. The most common site is scalpKaposi sarcoma is mostly seen in extremities: most commonly on feet and occasionally on hands, ears, and nose.* Lesions are usually dark blue or purple and they may blanchewhen tumid (swollen).* Locally aggressive lesions can ulcerate, fungate or leave pigmented scars.* Lesions are usually multifocal which eventually fuse to form plaques and tumors of several centimeters in size.* Lymph nodes, mucosae and viscera may be involved as the disease progresses, although this can occur without skin involvement.Characteristic purple-colored plaques on the alar and tip of the nose in an HIV-positive female patient.